Anterior axillary fold is due to which muscle ?
1. Pectoralis major
2. Pectoralis minor
3. Subscapularis
4. Teres major

Correct answer: 1. Pectoralis major

Explanation: Anterior axillary fold is rounded in shaped and is formed by pectoralis major (lower border). Posterior axillary fold is formed by teres major and latisimus dorsi.